Not a radialogical sign of pneumoperitoneum
1. Visualization of falciform ligament
2. Football sign
3. Candy Cone appearance
4. Cupola sign

Correct answer: 3. Candy Cone appearance

Explanation: Candy Cone appearance - Single or multiple dilated loops of bowel with three air fluid levels seen in small intestine obstruction.